Ist molar tooth appears at age of ?
1. 6 - 7 months
2. 8 - 9 months
3. 10-11 months
4. 12 - 13 months

Correct answer: 4. 12 - 13 months

Explanation: Ans. is 'd' i.e., 12 - 13 months